Two separate endometrial cavities and two separate vaginas is which type of uterus?
1. Bicornuate
2. Didelphys
3. Septate
4. Arcuate

Correct answer: 2. Didelphys